Laceration shows all the features except:
1. Bruising and abrasion around margins
2. Irregular, Ragged margins
3. Loss of tissue
4. More bleeding

Correct answer: 4. More bleeding

Explanation: - There is lesser bleeding in case of lacerations because of crushing of the blood vessels . - General Features of Laceration: Irregular Shape Irregular & uneven Margins Contused edges Floor of laceration shows following features : - Tissue bridges (tissue, blood vessels and nerves bridging across the gap of the wound) - Less hemorrhage because of crushed blood vessels. - Foreign particles like mud may be seen embedded in the wound, which gives clue about the scene of crime